Lutein and theca lutein cysts may be associated with all the following except
1. Mole
2. Choriocarcinoma
3. Stein-leventhal syndrome(PCOS)
4. Pregnancy

Correct answer: 3. Stein-leventhal syndrome(PCOS)

Explanation: - Theca lutein cysts are present because of high HCG. - These are seen in : Molar pregnancy, Choriocarcinoma, Twin pregnancies, Chronic renal failure (due to decreased hCG clearance) Hyperthyroidism (due to structural homoly between hCG and TSH) - PCOS is not associated with theca lutein cysts. In fact, PCOS has NO CYSTS. - PCOS is associated with anovulation and hyperandrogenesim.